Which of the following metal ions is associated with secondary Parkinsonisms:
1. Mangnese (Mn)
2. Magnesium (Mg)
3. Selenium (Se)
4. Molybednum (Me)

Correct answer: 1. Mangnese (Mn)

Explanation: Answer is A (Mangnese (Mn)): Manganese ion exposure is implicated in the free radical damage of the basal ganglia causing Parkinsonism. Toxins Implicated in Parkinsonism (Harrison) Manganese (Mn) MPTP (1 Methyl - > Phenyl -1, 2, 3, 6 tetrahydropyridine) Carbonmonoxide Carbondisulphide Ctanide Hexane Methanol Toxins reported to induce Parkinonism: (Handbook of Atypical Parkinsonism) Betel nut (plus antiPsychotics) Carbon monoxide Contrast agent for cardiac catheterization Cyanide Ethanol intoxication, ethanol withdrawal Ethylene glycol Herbicides (paraquat, diquat, glyphosate) Heroin Hydrogen sulfide Kava-kava Manganese Maneb (Manganese Ethylene-Bis-Dithiocarbamate) Mercury Methanol Methcathinone (manganese ephedrone) MPTP (I-methyl-4-phenyl-1,2,3,6-tetrahydropyridine) Organic solvents (carbon disulfide, n-hexane, toluene, trichloroethylene) Organophosphate insecticide poisoning Petroleum products